Tongue  muscle  which  is  NOT  developed  from  occipital myotome:
1. Styloglossus
2. Hyoglossus
3. Genioglossus
4. Palatoglossus

Correct answer: 4. Palatoglossus

Explanation: Tongue muscles develop from occipital myotomes except palatoglossus, which develop in pharyngeal arches. 
All tongue muscles are supplied by hypoglossal nerve except palatoglossus (supplied by the vagus accessory complex).